All are associated with MEN-2 except -
1. Pheochromocytoma
2. Islet cell hyperplasia
3. Medullary carcinoma thyroid
4. Parathyroid adenoma

Correct answer: 2. Islet cell hyperplasia

Explanation: MEN type 2 (MEN 2), which is also called Sipple's syndrome, is characterized by the association of medullary thyroid carcinoma (MTC), pheochromocytomas, and parathyroid tumors. Three clinical variants of MEN 2 are recognized: MEN 2A, MEN 2B, and MTC only. Reference : page 2340 Harrison's Principles of Internal Medicine 19th edition